Most common injured muscle in rotator cuff is:
1. Supra-spinatus muscle
2. Infras-spinatus muscle
3. Teres minor
4. Subscapularis

Correct answer: 1. Supra-spinatus muscle

Explanation: Rotator cuff muscles- S -Supraspinatus on greater tubercle I -Infraspinatus on greater tubercle t -Teres minor on greater tubercle S -Subscapularis on lesser tubercle These helps in strengthening of capsule posteriosuperiorly. Anteroinferior dislocation are more common Supraspinatus tendon is injured most commonly